A 48 years male patient, victim of RTA presents to emergency room. Primary survey of this trauma patient includes all the following except
1. Measuring BP
2. Exposing body to rule out injuries
3. CT Abdomen for bleeder identification
4. Checking airway

Correct answer: 3. CT Abdomen for bleeder identification

Explanation: Ans. (c) CT Abdomen for bleeder identificationRef: Schwartz principles of surgery, 10th ed; pg. 161-165Primary Survey* Airway with Cervical spine protection* Breathing and Ventilation* Circulation and hemorrhage control* Disability: Neurologic status* Exposure/Environment control: completely undress the patient; control hypothermia.Adjuncts to Primary Survey * ECG, Pulse Oximetry, ABGs* Urinary and Gastric catheters * Chest and Pelvic X rays* FAST and DPL